Oxygenated blood is carried to the fetus by?
1. Umbilical artery
2. Umbilical vein
3. Ductus venosus
4. Hypogastric artery

Correct answer: 2. Umbilical vein

Explanation: - Umbilical vein -> carries oxygenated, nutrient rich blood from placenta to fetus - Umbilical arteries -> carries deoxygenated blood from fetus to placenta for oxygenation - Ductus venosus -> shunt that allows oxygenated blood from umbilical veins directly into inferior vena cava - Hypogastric artery -> aka internal iliac artery -> Supplies pelvic viscera